Facial artery is a branch of the:
1. Internal carotid artery
2. External carotid artery
3. Superficial temporal
4. Maxillary artery

Correct answer: 2. External carotid artery